Primary rotation force is applied for the extraction of:
1. Max. central incisor + Mandibular 2nd premolar.
2. Max. central incisor + Mandibular central incisor.
3. Max. premolars.
4. All of the above.

Correct answer: 1. Max. central incisor + Mandibular 2nd premolar.